The major source of NADPH for fatty acidsynthesis ?
1. PPP
2. TCA cycle
3. Glycolysis
4. Glycogenolysis

Correct answer: 1. PPP

Explanation: Ans. is 'a' i.e., PPP Source of NADPH for lipogenesis NADPH is involved as donor of reducing equivalentse in both the reduction of 3-ketoacyl by 3 ketoacyl reductase and of 2,3- unsasturated acyl by enoyl reductase. The main source of NADPH for lipogenesis is the pentose phosphate pathway: PPP (Hexose monophosphate shunt: HMP shunt)deg. Other sources of NADPH include:- The reaction that converts malate to pyruvate catalyzed by malic enzyme. Exramitrochondrial isocitrate dehydrogenase.